Psammoma bodies are seen in all of the following malignancies, EXCEPT:
1. Follicular Ca thyroid
2. Papillary Ca thyroid
3. Serous cystadenoma of ovary
4. Meningioma

Correct answer: 1. Follicular Ca thyroid

Explanation: Psammoma bodies are not seen in follicular carcinoma of thyroid. "Psammoma bodies" are laminated calcified spheres and are usually diagnostic of papillary carcinoma. Malignant calcified psammoma bodies are found in 80% of serous cystadenoma of ovary. Meningiomas are also frequently associated with Psammoma bodies. Ref: Wyatt C., Kemp W.L., Moos P.J., Burns D.K., Brown T.G. (2008). Chapter 18. Endocrine Pathology. In C. Wyatt, W.L. Kemp, P.J. Moos, D.K. Burns, T.G. Brown (Eds), Pathology: The Big Picture.